In criminal cases, conduct money is paid by -
1. Court
2. Magistrate
3. Judge
4. No conduct money is given

Correct answer: 4. No conduct money is given

Explanation: In criminal cases, no fee is paid to the witness at the rime of serving the summons. Ref:The synopsis of forensic medicine (Dr.K.S.Narayan Reddy) pg no-5,28th edition.